Extractions can be done in ANUG patients after
1. 4 weeks
2. At 1st appointment only
3. 4 months
4. 1 week

Correct answer: 1. 4 weeks